Dose of Human anti-rabies immunoglobulin is
1. 10 IU/kg
2. 20 IU/kg
3. 30 IU/kg
4. 40 IU/kg

Correct answer: 2. 20 IU/kg

Explanation: Management guidelines for rabies apart from vaccination Anti Rabies Serum Horse Rabies serum: 40 IU/Kg on Day 0 (50% in wound, 50% I'M) Human Rabies Immunoglobulin : 20 IU/Kg (Maximum in wound, rest IM gluteal) (Concentration 150 IU/ml) Serum sickness with Horse serum : 15-45% Person under Antirabic Treatment should avoid Alcohol (during and 1 month after treatment) Undue physical and mental strain and late nights Corticosteroids and other immunosuppressive agents Intramuscular injections of cell culture and purified Duck Embryo Vaccines : Deltoid (Not in Buttocks) Rabies Vaccine dosages Intramusculae dose of Rabies Vaccine for post exposure prophylaxis: 1ml Intradermal dose of Rabies Vaccine for Post-exposure prophylaxis : 0.1 ml Intramuscular dose of Rabies Vaccine for Pre-Exposure prophylaxis : 1 ml Intradermal dose of Rabies Vaccine for Pre-Exposure prophylaxis : 0.1 ml Rabies Immunoglobulin Dosages Dose of Human Rabies Immunoglobulin (HRIg): 20 IU/Kg body wt Dose of Equine Rabies Immunoglobulin (ERIg) : 40 IU/Kg body wt Ref: Park 25th edition Pgno : 297-298